All of the following drugs cause renal failure except?
1. Cephaloridine
2. Amphoterecin B
3. Cefoperazone
4. Gentamicin

Correct answer: 3. Cefoperazone

Explanation: Ans. is 'c' i.e., Cefoperazone Cefoperazone is primarily excreted in bile -3 less nephrotoxic. o Amphotericin B, gentamycin and cephaloridine are highly nephrotoxic.